Which of the following is not a function of angiotensin 2:
1. Increases thirst.
2. Increases ADH secretion.
3. Increases aldosterone.
4. Increase anger.

Correct answer: 4. Increase anger.

Explanation: Angiotensin 2 Action: 

Increases thirst. 
Increases ADH secretion. 
Increases aldosterone. 
It is the most potent vasoconstrictor.